A 45 years old female presented to the OPD with breast lump of 4 cm in left breast. On examination left axillary lymph nodes were fixed and matted. Which of the following is the preferred treatment option?
1. Breast conservation surgery + Axillary LN sampling + Radiotherapy
2. Simple mastectomy + Axillary LN sampling
3. Neoadjuvant chemotherapy + Modified radical mastectomy + Radiotherapy
4. Halsted radical mastectomy followed by Radiotherapy

Correct answer: 3. Neoadjuvant chemotherapy + Modified radical mastectomy + Radiotherapy

Explanation: EARLY INVASIVE BREAST Ca: stage I, IIA, IIB Rx: Breast conservation surgery (BCS) Axillary LN sampling (ALNS) Radio therapy If BCS contraindicated: simple mastectomy + ALNS LOCALLY ADVANCED BREAST Ca: stage IIIA, IIIB, IIIC Rx: Neoadjuvant chemotherapy Modified radical mastectomy Radio therapy Metastatic breast Ca Rx : Hormone therapy preferred over chemotherapy